Which of the following progesterone is used in emergency contraception ?
1. Levonorgesterol
2. Micronised Progesterone
3. Norgesterone
4. Depot Medroxyprogesterone acetate

Correct answer: 1. Levonorgesterol